Which is not a DNA virus -
1. Parvovirus
2. Papovavirus
3. Poxvirus
4. Rhabdovirus

Correct answer: 4. Rhabdovirus

Explanation: . Ans. is 'd' i.e., Rhabdovirus DNA viruses PoxviridaeVariola, vaccinia, cowpox, monkeypox, tanapox, molluscum contagiosum HerpesviridaeHSV-1, HSV-2, varicella-zoster. EBV, C'MV, HTLV-1 AdenovirideAdenovirus ParvoviridaeParv ovirus. Adenosatellovirus, Densovirus PapovaviridaePapilloma virus (HPV). Polyomaviras HepadnaviridaeHepatitis-B virusRNA VirusesPicornaviridaePoliovirusCoxsackievirusEchovirasEnterovirusRhino virusHepatitis A virusCalicmridaeNorwalk virusHepatitis E virusTogaviridaeRubella virus Eastern equine encephalitis virusWestern equine encephalitis virusFla>iviridaeYellow fever virusDengue virusSt. Louis encephalitis virusWest nile virusHepatitis C virusHepatitis G vimsCoronaviridaeCoronavi rusesRhabdoviridaeRabies virusVesicular stomatitis virusFiloviridaeMarburg virusEbola virusParamyxoviridaeParainfluenza virusRespiratory syncytial virusNewcastle disease vimsMumps virusRubeola (measles) virus